IQ of 70 - 75 denotes
1. Borderline MR
2. Moderate MR
3. Severe MR
4. Normal intelligence

Correct answer: 1. Borderline MR

Explanation: Normal IQ → 90-109; Borderline IQ → 70-89; Mild mental retardation IQ → 50-69; Moderate mental retardation IQ → 35-49; Severe MR IQ → 20-34; Profound MR IQ → 0-19.